Study of death in all its aspects is known as:
1. Eugenics
2. Thanatology
3. Dactylography
4. Tricology

Correct answer: 2. Thanatology

Explanation: Ans. Thanatology